The duct of parotid gland pierces all these structures except
1. Buccal pad of fat
2. Buccinator
3. Buccopharyngeal fasia
4. Masseter

Correct answer: 4. Masseter

Explanation: (D) (Masseter) (110 BDC-3 6th)Parotid Duct /Stenson Duct* It is thick walled and is about 5 cm long. It emerges from the middle of the anterior border of the glands, it runs forward and slighty down wards on the masseter. Here its relation are :Superiorly1. Accessory parotid gland2. Transverse facial vessels3. Upper buccal branch of facial nerveInferiorlyThe lower buccal branch of the facial nerve At the anterior border of the masseter, the parotid duct turns medially and piercesA. The buccal pad offatB. The buccopharyngeal fasciaC. The buccinators (obliquely )* The duct runs forwards for a short distance between the buccinators and the oral mucosa. Finally the duct turns medially and opens into the vestibule of the mouth opposite the crown of the upper second molar tooth *** PAROTID GLAND- is the largest salivary gland and is composed mostly of serous acini, ectodermal in originStructures within the parotid glandA. Artery- Ext. carotid artery, Superficial temporal MaxillaryB. Vein -the, retro mandibular vein is formed within the gland by the union of the superficial temporal and maxillary veinsC. Nerve- facial nervea) Termporofacial -Divides into temporal and zygomatic branchesb) Cervicofacial -Divides into buccal, marginal mandibular and cervical branchesD. Parotid lymph nodeAlso remember:* Nerve carrying post ganglionic parasympathetic fibres of the parotid gland is -AURICULOTEMPORAL* Somata of postganglionic secretomotor fibres to parotid gland lies in- OTIC GANGLION* Otic ganglion is the only parasympathetic ganglion with 4 roots* Pes anserinus is the arrangement of FACIAL NERVE* Parotid gland is best palpated at anterior border of masseter muscle when the muscle is tens* Parotid gland tumour spreads through neural sheath Adenocystic carcinoma